Nitrogen atoms in purines are derived from all except
1. Aspartate
2. Glutamine
3. THF
4. Glycine

Correct answer: 3. THF

Explanation: The N atoms at positions 3 and 9 are derived from the amide nitrogen glutamine Ref-Sathyanarayana 4/e